Tumor marker for choriocarcinoma :
1. HCG
2. AFP
3. CEA
4. Desmin

Correct answer: 1. HCG

Explanation: HCG